Healing with calcification is a feature of:
1. Cryptococcosis
2. Mucormycosis
3. Aspergillosis
4. Histoplasmosis

Correct answer: 4. Histoplasmosis

Explanation: - In case of Histoplasma infection in the immunocompetent host,macrophages, lymphocytes, and epithelial cells eventually organize and form granulomas that contain the histoplasma organisms. - These granulomas typically fibrose and calcify; calcified mediastinal lymph nodes and hepatosplenic calcifications are frequently found in healthy individuals from endemic areas.